A 25 year old male presents with recurrent lip edema to the OPD. On performing lab investigations, it revealed |C4, |C1-INH levels, |C1-INH function, normal C1q levels. What is the most probable diagnosis?
1. Hereditary angioedema Type 1
2. Hereditary angioedema Type 2
3. Acquired angioedema Type 1
4. Acquired angioedema Type 2

Correct answer: 1. Hereditary angioedema Type 1

Explanation: Hereditary angioedema(HAE) Disorder characterized by recurrent episodes of severe swelling (angioedema). 3 main types of HAE. Type I and II are caused by a mutation in the SERPING1 gene that makes the C1 inhibitor protein while type III is often due to a mutation of the factor KhII gene. This results in increased amounts of bradykinin which promotes swelling. Distinguishing b/w HAE & AAE( Acquired angioedema): C1q levels normal-HAE C1q levels low-AAE Type 1 HAE-Low C1-INH level & low C4 level Type 2 HAE- Normal or elevated C1-INH level & low C4 level. Function of C1-INH is reduced in both type 1 & 2 HAE.